Congenital heart disease is most likely in the newborn of mothers suffering from all except:
1. Systemic lupus erythematosus
2. Rheumatoid arthritis
3. Diabetes in pregnancy,
4. Congenital heart disease of the mother

Correct answer: 2. Rheumatoid arthritis

Explanation: Lets analyse each option separately
“Fetal congenital cardiac disease is increased by 3–10% if either of the parents have congenital heart lessons.”
Dutta 7/e, p 276. (so option d is correct)
“Neonatal lupus syndrome is due to crossing of maternal lupus antibodies (anti-Ro or anti-La) to the fetus causing hemolytic anemia, leukopenia and thrombocytopenia. Isolated congenital heart block is present in about one-third of cases. An apparently healthy woman delivering a baby with congenital heart block should be observed for the development of SLE.”
Dutta 7/e, p 293 (i.e. option a is correct)
Matenal diabetes we all know leads to fetal heart disease (Dutta 7/e, p 284), so our answer by exclusion is rheumatoid arthritis.